Jefferson fracture is fracture of which spine
1. C1
2. C2
3. C3
4. C4

Correct answer: 1. C1

Explanation: Jefferson fracture is disruption of C1 ring in multiple locations; blow-out of ringHangman fracture is bilateral C2 pedicles with spondylolisthesisSabiston 20e pg: 443